True about dementia is A/E
1. Hallucination are not common
2. Clouding of consciousness is common
3. Nootropics have limited role
4. All

Correct answer: 2. Clouding of consciousness is common

Explanation: B i.e. Clouding of consciousness is common Clouding of consciousness is a characteristic feature delirium & is helpful in differentiating it from dementiaQ. Two most common causes of dementia are Alzheimer's & multi infarct; both of which are irreversible.